All the following drugs can cause SLE like syndrome except?
1. INH
2. Penicillin
3. Hydralazine
4. Sulphonamide

Correct answer: 2. Penicillin

Explanation: Ans. is 'b' i.e., Penicillin Drugs inducing ANA and SLE :o Antiarrhythmics: Procainamide, disopyramide,o Anti-convulsauts : carbamazepine, phenytoinpropafenomeo Antibiotic Tsoniazid, minocycline, macrodantino Anti-hypertensives : hydralazine, methyldopao Antirheumatic: sulfasalazineo ACE inhibitorso Diuretics : Hydroclorothiazideo Beta-blockerso Statins : Lovastatin, simvastatino Antithyroid-propylthiouracilo Biologies; IFN, TNF-a. inhibitorso Antipsychotics - chlorpromazine, lithium o Isoniazide, Hydralazine and sulphonamide (sulfasalazine) can cause SLE like syndrome.